There have been many recent advances in TIVA compared to inhalational anesthesia. Which of the following is true about TIVA
1. Reduces cerebral metabolism (CMR) and CBF
2. Smooth induction with high incidence of post operative nausea and vomiting
3. Propofol inhibits pulmonary vasoconstriction d/t hypoxia, and is a/w increased pulmonary toxicity, malignant hyperthermia and enhanced N20 effects
4. Higher chances of nephrotoxity

Correct answer: 1. Reduces cerebral metabolism (CMR) and CBF

Explanation: A i.e. Reduces cerebral metabolism (CMR) and CBF - TIVA (with propofol) provides extremely clear-headed awakening (which is useful after neurosurgery for patient evaluation) and reduced incidence of post operative nausea and vomiting (PONVP compared to volatile anesthesia. It can be safely used in patient susceptible to malignant hyperpyrexiaQ and reduces release of scavenged anesthetic gases into the atmosphere. The paralysis is not always required, avoiding reversal agents and emergence is rapidQ (especially when propofol TIVA is used with remifentanil).